NVBDCP includes ail except?
1. Malaria
2. Filarial
3. Kala azar
4. KFD

Correct answer: 4. KFD

Explanation: Ans. is 'd' i.e., Chikungimya o National Vector Borne Disease control programme (NVBDCP) includes 6 vector borne diseases- Malaria Dengue Filaria Kala azar JE Chikungunya fever 1. Chickungunya has been included now Health programmes In India o Since India become indepedent, several measures have been undertaken by National Government to improve the health of the people. o Prominant among these measures are the NATIONAL HEALTH PROGRAMMES which have been launched by the central Government for control/eradication of the communicable diseases, improvement of environmental sanitation, raising the standard of nutrition, control of population and improving rural health. National Health Programmes curently working in India : - National vector Borne Disease Control Programme - Malaria, Dengue. Filaria, JE, Kala-azar. National leprosy eradication programme. Revised National TB control programme. National programme for control of blindness. National iodine deficiency disorders control programme, National menal health programme National AIDS control programme National cancer control programme UP National Programme for prevention & control of deafness. Piolet Progamme on prevention & control of DM, CVD, & deafness. National tobacco control programme RCH programme